Renal pathology in SLE includes all EXCEPT ?
1. Focal glomerulonephritis
2. Diffuse glomerulonephritis
3. Membranous glomerulonephritis
4. Lipoid nephrosis

Correct answer: 4. Lipoid nephrosis

Explanation: Ans. is 'd' i.e., Lipoid nephrosis